Chop wound is also known as -
1. Slash wounds
2. Incised looking lacerated wounds
3. Stab wounds
4. Slit wounds

Correct answer: 1. Slash wounds

Explanation: The synopsis of forensic medicine &toxicology ; Dr k.s narayan reddy ; pg .no. 113 ; 28th edition ; They are deep gaping wounds caused by a blow with the sharp cutting edge of a fairly heavy weapon . Hence also called slash wound .